All of the following feature may be seen in throm-botic thrombocytopenic purpura,except-
1. Fever
2. Haemolysis
3. Hypertension
4. Low platelets count

Correct answer: 3. Hypertension